PTT is prolonged in all except
1. ITP
2. Christmas disease
3. Hemophilia A
4. Hemophilia B

Correct answer: 1. ITP

Explanation: In ITP

Bleeding time : prolonged
PT and PTT are normal
Clotting time : Normal